Gold content of an 18 carat alloy is:
1. 25%
2. 50%
3. 75%
4. 100%

Correct answer: 3. 75%